Not a feature of REM sleep:
1. Bruxism
2. Irregular breathing
3. Muscle tone in the body is depressed
4. Is associated with active dreaming

Correct answer: 1. Bruxism

Explanation: Bruxism REF: GUYTON & HALL, Ganong, various internet resources. See APPENDIX-11 for "SLEEP PHYSIOLOGY"